Inferior mesenteric artery supplies all of the following except
1. Rectum
2. Right colic flexure
3. Sigmoid colon
4. Descending colon

Correct answer: 2. Right colic flexure

Explanation: (B) Right colic flexure # Inferior mesenteric artery supplies: The left one third of the transverse colon; The descending colon; The sigmoid colon; The rectum; The upper part of the anal canal; The right colic flexure is supplied by the superior mesenteric artery.